Drug of choice for carriers of diphtheria is -
1. Penicillin
2. Septran
3. Tetracycline
4. Erythromycin

Correct answer: 4. Erythromycin